VDRL is a type of:
1. Indirect hemagglutination test
2. Slide flocculation test
3. Gel precipitation test
4. None of the above

Correct answer: 2. Slide flocculation test

Explanation: Ans. B: Slide flocculation test Venereal Disease Research Laboratory (VDRL) Test is a slide flocculation test employed in the diagnosis of syphilis. Since the antigen used in this test is cardiolipin, which is a lipoidal extracted from beef heart, it is not a specific test. This test is also classified as non-specific or non-treponemal or standard test. The antibodies reacting with cardiolipin antibodies have been traditionally (but incorrectly) termed "regain".